EDTA used in which metal poisoning:
1. Lead
2. Arsenic
3. Iron
4. Phosphorus

Correct answer: 1. Lead

Explanation: Lead